Hanging cast is used for
1. Radius fracture
2. Humerus fracture
3. Femur fracture
4. Fibula fracture

Correct answer: 2. Humerus fracture